The best method of measuring blood glucose level in the long term would be
1. Glucose tolerance test
2. Benedict's test
3. Glycosylated-Hb method
4. Stressed glucose tolerance test

Correct answer: 3. Glycosylated-Hb method